Lipofuschin is an insoluble endogenous pigment, also known as
1. Lipochrome
2. Wear and tear pigment
3. Aging pigment
4. All of the above

Correct answer: 4. All of the above